All of the following methods are antilarval measures except -
1. Intermittent irrigation
2. Paris green
3. Gambusia affinis
4. Malathion

Correct answer: 4. Malathion

Explanation: Antilarval measures of mosquito control are environmental control- source reduction and minor engineering measures like filling, levelling, intermittent irrigation. chemical control- mineral oils, Paris green, synthetic insecticides (Fenthion, Chlorpyrifos, and Abate). biological control -larvivorous fishes like Gambusia and Lebister are grown in burrow pits, ponds. Park's Textbook of Preventive and Social Medicine, 25th Edition, Pg 833